Anesthetic testing is most effective in localizing pain
1. to a specific tooth.
2. to the mandible or maxilla.
3. across the midline of the face.
4. to a posterior tooth.

Correct answer: 2. to the mandible or maxilla.